Lunate dislocation causes damage to which nerve ?
1. Radial
2. Ulnar
3. Superficial radial
4. Median

Correct answer: 4. Median

Explanation: Ans. is 'd' i.e., Median o Common causes of median nerve palsy in carpal tunnel are carpal tunnel syndrome (most common) and lunate dislocation.